True about chicken pox ?
1. Caused by Human Herpes Virus-3
2. Scab is infective
3. Rash is deep seated
4. SAR is 70%

Correct answer: 1. Caused by Human Herpes Virus-3

Explanation: Ans. is 'a' i.e., Caused by Human Herpes Chickenpox is caused by varicella zoster virus (Human Herpes Virus-III or Herpes simplex type-III).